DSH IV criterion for depression is-
1. 1 week
2. 2 weeks
3. 3 weeks
4. 4 weeks

Correct answer: 2. 2 weeks

Explanation: For the diagnosis of minor depression 2-4 and for major depression 5 DSM IV symptoms are required for at least for a two week period.